Bipolar disorder is a:
1. Mood disorder
2. Neurotic disorder
3. Behavior disorder
4. Personality disorder

Correct answer: 1. Mood disorder

Explanation: Ans. Mood disorder